Freeway space is defined as:
1. Vertical dimension at rest - vertical dimension at occlusion
2. Vertical dimension at occlusion + vertical dimension at rest
3. Vertical dimension at rest
4. Vertical dimension at occlusion - vertical dimension at rest

Correct answer: 1. Vertical dimension at rest - vertical dimension at occlusion